The most suitable tetracycline for use in a patient with impaired renal function is :
1. Tetracycline
2. Demeclocycline
3. Oxytetracycline
4. Doxycycline

Correct answer: 4. Doxycycline